The most important function of the microcirculation is:
1. The exchange of nutrients and wastes between blood and tissue
2. The filtration of water through capillaries
3. The regulation of vascular resistance
4. The autoregulation of blood flow

Correct answer: 1. The exchange of nutrients and wastes between blood and tissue

Explanation: Ans. A. The exchange of nutrients and wastes between blood and tissueEach of the choices is a function of the microcirculation, but its most important function by far is to provide tissue with nutrients and remove the wastes.